IPC 304 B is related to?
1. Punishment for cruelty by husband or his relatives
2. Dowry death
3. Death caused by negligence
4. Punishment of culpable homicide, not amounting to murder.

Correct answer: 2. Dowry death

Explanation: Ans. is 'b' i.e. Dowry deatho IPC 304 - Punishment of culpable homicide, not amounting to murdero IPC 304 A - Death caused by negligenceo IPC 304 B - Dowry death : 10 years of imprisonment which can extend to life.o IPC 498 - Punishment for cruelty by husband or his relatives.